Green stick fractures are most common with:
1. Older people
2. Adult
3. Children
4. Soldiers

Correct answer: 3. Children